The placenta is formed from:
1. Decidua basalis
2. Decidua vera
3. Chorion levae
4. Decidua capsularis

Correct answer: 1. Decidua basalis

Explanation: Ans: A (Decidua basalis) Ref: DC Dutta s Textbook of obstetrics, 7th edn, Pg 30Explanation:Fetal contribution for placental formation - Chorion frondosumMaternal contribution - Decidua basalts